Primary pulmonary hypertension has following features on ECG except -
1. Sinus tachycardia
2. ST elevation
3. Increased Pwave amplitude
4. Right axis deviation

Correct answer: 2. ST elevation